Most common side effect of haloperidol -
1. Hypotension
2. Akathasia
3. Dryness of mouth
4. Tic disorder

Correct answer: 2. Akathasia

Explanation: Ans. is 'b' i.e., Akathasiao 75% of patients experience extrapyramidal symptoms (Akathisia, Parkinsonism, acute muscular dystonia) with all classical (typical) antipsychotics.o Haloperidol is a typical antipsychotic.Important side effects of antipsychoticsI) Based on pharmacological actions (dose dependent)1. CNSo Drowsiness, lethargy, mental confusion.o Increased appetite and weight gain due to H1 and 5HT2 blockade. (It is least with haloperidol).o Seizures - with clozapine and olanzapine.2. CVSo Postural hypotension, palpitation, inhibition of ejaculation (due to a blockade) - maximum with chlorpromazine, thioridazine and clozapine - Goodman & Gilmen 11th/e p. 463o Minimum hypotension - Aripiprazole - Goodman & Gilmen llth/ep. 464.o QTprolongation and cardiac arrhythmia - Thioridazine, pimozide and ziprasidone.3. Anticholinergic side effects.o Maximum with thioridazine.o Clozapine causes hypersalivation despite anticholinergic property.4. Endocrineo Hyperprolactinemia is common with typical neuroleptics amongst atypical neuroleptics risperidone causes hyperprolactinemia - Amenorrhea, galactorrhea, infertility, impotence, gynaecomastia.o Worening of diabetes - Clozapine, olanzapine.5. Extrapyramidal disturbanceso These are major dose limiting side effects.o Maximum with haloperidol.o Least with clozapine (among all antipsychotics).o Amongst typical antipsychotics, least with thioridazine.o Amongst atypical antipsychotic, resperidone has maximum tendency to cause extrapyramidal disturbances.o Different syndromes are :Parkinsonism, Acute muscular dystonia, Akathisia, Malignant neuroleptic syndrome, Tardive dyskinesia, Rabbit syndrome.II. Other side effects.o Corneal and lenticular deposites - chlorpromazine - Katzung 10th/e p. 467.o Retinal deposits - Thioridazine - Katzung 10th/e p. 467.o Blue pigmentation of exposed skin - Thioridazine,o Agranulocytosis - Clozapine."Because of the risk of agranulocytosis, patients, recieving clozapine must have weekly blood counts for the first 6 months and every 3 weeks thereafter".o Myocarditis - Clozapine.o Hypersensitivity - Cholestatic jaundice, skin rash, urticaria, contact dermatitis, photosensitivity,o Cataract - Quetiapine.